Which of the following is the shortest acting non-depolarizing muscle relaxant (NDMR) and causes bronchospasm?
1. Succinyl choline
2. Rapacuronium
3. Atracurium
4. Pancuronium

Correct answer: 2. Rapacuronium

Explanation: Rapacuronium has a rapid onset of action, minimal cardiovascular side effects, and a short duration of action. It was withdrawn by the manufacturer following several reports of serious bronchospasm, including a few unexplained fatalities. Histamine release may have been a factor. Ref: Morgan, Jr. G.E., Mikhail M.S., Murray M.J. (2006). Chapter 9. Neuromuscular Blocking Agents. In G.E. Morgan, Jr., M.S. Mikhail, M.J. Murray (Eds), Clinical Anesthesiology, 4e.